RNA dependent DNA polymerase is -
1. DNA polymerase
2. RNA polymerase
3. Reverse transcriptase
4. Phosphokinase

Correct answer: 3. Reverse transcriptase

Explanation: Ans. is 'c' i.e., Reverse transcriptaseo Reverse transcriptase is an RNA dependent DNA polymerase that produces ds DNA from RNA template. It moves along the template in 3' -5' direction, synthesizing DNA is 5' - 3' direction, It is seen in retro viruses (e.g. HIV).